The Antihypertensive which causes decreased Jibido and impotence is:
1. Atenolol
2. Enalapril
3. Prazosin
4. Diltiazem

Correct answer: 1. Atenolol

Explanation: Atenolol